A patient presents with thrombocytopenia, eczema and recurrent infection -
1. Wiskott - Aldrich syndrome
2. Digeorge syndrome
3. Agammaglobulinemia
4. SCID

Correct answer: 1. Wiskott - Aldrich syndrome

Explanation: Wiskott-Aldrich syndrome is X linked disease. - characterised by eczema, thrombocytopenic purpura and recurrent infections. Affected boys do not survive first decade of life, death due to infection, hemorrhage and lymphoreticular malignancy. - CMI undergoes progressive deterioration associated with cellular depletion of thymus and the paracortical areas of lymph nodes. Reference : Anathanarayan & paniker's 9th edition, pg no: 174